Keloid scars:
1. Usually occur in the Caucasian race
2. Often occur in wounds which have healed perfectly without complications
3. Surgical treatment as a single modality has the least recurrence
4. Radiation should not be administered as it is a nonmalignant condition

Correct answer: 2. Often occur in wounds which have healed perfectly without complications